Essential atrophy of choroid is due to inborn error of metabolism of amino acid:
1. Cystine
2. Cysteine
3. Arginine
4. Ornithine E Lysine

Correct answer: 4. Ornithine E Lysine

Explanation: Ans. Ornithine E Lysine